Eustachian tube opens into which part of tympanic cavity?
1. Medial
2. Lateral
3. Anterior
4. Posterior

Correct answer: 3. Anterior